Corpus lutein cyst occurs due to :
1. HOG
2. HPL
3. Estrogen
4. Progesterone

Correct answer: 1. HOG

Explanation: Ans. is a i.e. HCG Lutein cysts of ovary Granulosa lutein cyst Functional, non neoplastic enlargement of the ovary. Persistent corpus luteum cyst may cause local pain, tenderness or delayed menstruation Cysts are often palpable clinically Usually resolve spontaneously Theca lutein cyst They are associated with trophoblastic diseasedeg, chorionic gonadotrophin therapy (HCG)deg & clomiphene therapydeg They are bilateral and filled with straw coloured fluid. They resolve spontaneously after elimination of the H mole, therapeutic curettage, destruction of choriocarcinoma Also Know : Characteristic features of functional cysts of ovary : Size < 7cm Unilocular Filled with clear fluid Regress after some time